Advantage of tracheostomy are all EXCEPT:
1. Bronchial toilet
2. Decreased dead space
3. Pharyngeal secretion toilet
4. Increased dead space

Correct answer: 4. Increased dead space

Explanation: (Increased dead space): Ref: 381-D, 191-LT (291-D 4th)Advantage of Tracheostomya. Alternative pathway for breathingb. Improve alveolar ventilation - in case of the respiratory insufficiency(I) Decreasing the dead space by 30 - 50% (normal dead space is 150 ml)(II) Reducing the resistance to airflowc. Protects the airways:i. Pharyngeal secretion, as in case of bulbar paralysis or coma.ii. Blood, as in haemorrhage from pharynx, larynx or maxillofacial injuries.d. Permits removal of trachiobronchial secretions.e. Intermittent positive pressure respiration (IPPR) - If IPPR is required beyond 72 hours, tracheostomy is superior to intubationf. To administer anaesthesiaFunction of a TracheostomyA tracheostomy is performed to relieve an upper airway obstruction, to facilitate bronchial toilet, to decrease dead space, to assist ventilation and as an elective procedure in head and neck surgery